All of the following are true about Herpes gestationis except:
1. Vesiculobullous disorder occuring in pregnancy
2. Typically periumbilical in location
3. Resolves  after delivery
4. Caused by Human Herpes Virus-8

Correct answer: 4. Caused by Human Herpes Virus-8

Explanation: Herpes gestationis is misnomer, it is not caused by Herpes virus.